Indication for surgery in Necrotizing Enterocolitis is?
1. Pneumatosis intestinalis- Stage IIA of NEC
2. Pneumoperitoneum- Stage IIIB of NEC
3. Portal Vein gas- Stage IIB of NEC
4. Peritonitis- Stage IIIA of NEC

Correct answer: 2. Pneumoperitoneum- Stage IIIB of NEC

Explanation: Pneumoperitoneum -NEC stage 3b- intestinal perforation occurs. Treatment includes supportive care along with surgery. Modified Bell's Staging Criteria: